One gray of radiation is equal to:
1. 1 rad
2. 10 rad
3. 100 rad
4. 1000 rad

Correct answer: 3. 100 rad

Explanation: Ans. 100 rad